Most sensitive test for Treponoma:
1. VDRL
2. RPR
3. FTA-ABS
4. Kahn

Correct answer: 3. FTA-ABS

Explanation: Ans. (c) FTA-ABS ' Most sensitive test for syphilis: FTA-ABS Most specific test for syphilis: TPI Note Treponemal test are likely to remain reactive even after adequate treatment and cannot differentiate past from current trepon mal infection.